Which region begins closure of the neural tube?
1. Cranial end
2. Caudal end
3. Cervical region
4. Lumber region

Correct answer: 3. Cervical region

Explanation: After the notochord induces the formation of the neural plate, the lateral edges of the plate fold dorsally to form the neural groove. The lips of the neural groove grow toward the midline and fuse to form the neural tube. This closure of the neural tube occurs first in the cervical region and progresses cranially and caudally simultaneously. Failure of the neural tube to close results in a variety of congenital abnormalities that include anencephaly and spina bifida with myeloschisis.